Medical etiquette is best defined as:
1. Conventional way of courtesy with professional members
2. Courtesy with other individuals of society
3. Courtesy towards client/patient
4. Courtesy towards female patient

Correct answer: 1. Conventional way of courtesy with professional members

Explanation: Medical etiquette is the subject concerned with the conventional laws and customs of courtesy which are generally followed between members of the same profession. Accordingly, a doctor should behave with his colleagues as he would like to have them behave with him. He should treat the colleague as he would like to have them behave with him and, therefore, not charge him or members of his family for professional service.